Retraining approach in a pediatric patient, all are true, Except:
1. Discrimination
2. Avoidance
3. De-emphasis and substitution
4. Distraction

Correct answer: 1. Discrimination

Explanation: Retraining approach includes:

Avoidance.
De- emphasis and substitution.
Distraction.